The parents of an 8-yr old boy complained of frequent severe bleeding on minor trauma

The patient could be suffering from
1. Hemophilia A
2. Anaemia
3. Attention Dificit Hyperactive Disorder
4. Disseminated intravascular coagulation

Correct answer: 1. Hemophilia A